Which of the following antiglaucoma drug can lead to drowsiness
1. Apraclonidine
2. Dipevefrine
3. Timolol
4. Brimonidine

Correct answer: 4. Brimonidine

Explanation: Brimonidine is α2 - blocker used for glaucoma that depress CNS and can lead to drowsiness.
It can cross BBB and also lead to apnea in newborns.